Regarding insulin management during labor all are true except
1. Usual dose of intermediate - acting insulin is given at bedtime.
2. Morning dose of insulin is with held.
3. Once labor begins, normal saline infusion is changed to 5 % dextrose.
4. Blood glucose level during labor should be maintained above 140mg / dL.

Correct answer: 4. Blood glucose level during labor should be maintained above 140mg / dL.

Explanation: Blood glucose level during labor should be approximately 100mg / dL.